Which of the following is an adverse effect of thiazide diuretics?
1. Hyperkalemic metabolic acidosis
2. Hypolipidemia
3. Hypouricemia
4. Erectile dysfunction

Correct answer: 4. Erectile dysfunction

Explanation: The incidence of erectile dysfunction is greater with Na+-Cl- symport inhibitors than with several other antihypertensive agents (e.g., beta adrenergic receptor antagonists, Ca2+- channel blockers, or angiotensin converting enzyme inhibitors). Most serious adverse effects of thiazides are, Extracellular volume depletion Hypotension Hypokalemia Hyponatremia Hypochloremia Metabolic alkalosis Hypomagnesemia Hypercalcemia Hyperuricemia Decreases glucose tolerance Increases plasma levels of LDL cholesterol, total cholesterol, and total triglycerides Ref: Reilly R.F., Jackson E.K. (2011). Chapter 25. Regulation of Renal Function and Vascular Volume. In L.L. Brunton, B.A. Chabner, B.C. Knollmann (Eds), Goodman & Gilman's The Pharmacological Basis of Therapeutics, 12e.